The drug of choice for persistent unstable ventricular arrhythmia is-
1. Procainamide
2. Calcium gluconate
3. Amiodarone
4. Digoxin

Correct answer: 3. Amiodarone

Explanation: amiodarone is the drug of choice for persistent unstable ventricular arrythmias Ref Harrison 20th edition pg 1432